Avulsion is a type of:
1. Chop wound
2. Incised wound
3. Laceration
4. Abrasion

Correct answer: 3. Laceration

Explanation: Avulsion is a type of laceration. Both "Avulsion" and "stretch laceration" have similar mechanism of formation. i.e. overstretching, but the amount of force involved is much more in Avulsion. Stretch laceration: Force is applied in such a manner that there is overstretching of the skin resulting in a flap. Eg. Glancing kick by a foot Avulsion (Shearing laceration):Here also there is overstretching of skin like in stretch laceration but the force involved is much more severe and the area involved is comparatively larger. There is separation of the skin from the underlying tissues over a relatively large area that is also called FLAYING. This is characteristic of run over accidents. The below image shows Flaying: